The following is not a communicative management
technique according to American Academy of Pediatric
dentistry's standards
1. Voice Control
2. Positive Reinforcement
3. Physical Restraint
4. Distraction

Correct answer: 3. Physical Restraint